The high sodium content of the filtrate in renal medulla is because:
1. At the loop of Henle, there is counter current mechanism
2. Increased blood flow to vasarecta
3. Increased excretion of Na* from PCT
4. Increased absorption of Na from PCT

Correct answer: 1. At the loop of Henle, there is counter current mechanism

Explanation: A i.e. At the loop of Henle there is counter current mechanism